Structure derived from first pharyngeal arch
1. Anterior belly of digastric
2. Stylohyoid
3. Levator veli palatini
4. Buccinator

Correct answer: 1. Anterior belly of digastric

Explanation: Ref:- Keith L. Moore -The Developing Human 9th Edition; Pg num:- 165